Which of the following potassium sparing diuretics cause renal stones?
1. Spironolactone
2. Eplerenone
3. Triamterene
4. Amiloride

Correct answer: 3. Triamterene

Explanation: Triamterene is only slightly soluble and may precipitate in the urine, causing kidney stones. Ref: Katzung, 11th edition, Chapter 15.